Hemoglobin is present in :
1. Hydrophilic pockets
2. Hydrophobic pockets
3. Pyrrole rings
4. Cationic ring

Correct answer: 2. Hydrophobic pockets

Explanation: Hemoglobin, a tetrameric protein of erythrocytes, transports O2 to the tissues and returns CO2 and protons to the lungs. The heme in haemoglobin is surrounded by a hydrophobic pocket, which is necessary in order for it to bind oxygen reversibly without undergoing oxidation or other undesirable reactions. Ref: Kennelly P.J., Rodwell V.W. (2011). Chapter 6. Proteins: Myoglobin & Hemoglobin. In D.A. Bender, K.M. Botham, P.A. Weil, P.J. Kennelly, R.K. Murray, V.W. Rodwell (Eds), Harper's Illustrated Biochemistry, 29e.